Breast feeding is not contraindicated if:
1. Mother has active infection of herpes on breast
2. Mother has hepatitis B infection
3. Mother has tuberculosis
4. Mother is on Chemoprophylaxis for leukemia

Correct answer: 2. Mother has hepatitis B infection

Explanation: Breast feeding is not contraindicated if the mother has hepatitis B infection. Infants routinely receive hepatitis B immunoglobulin and hepatitis B vaccine if mother is HBsAg positive. No delay in initiation of breastfeeding is required. Contraindications of Breastfeeding: Donot Breastfeed Infant factors Classic galactosemia maternal factors Human T-cell lymphocyte virus (HTLV) infection Ebola virus infection PCP/Cocaine abuse Donot breastfeed (Temporarily) Donot give expressed breastmilk (Temporarily) Maternal factors: Brucellosis Undergoing Diagnostic imaging with radiopharmaceuticals Active herpes simplex virus (HSV) infection with lesions on the breasts Donot Breastfeed (Temporarily) Can give expressed breastmilk Maternal factors Untreated, active tuberculosis active varicella infection Alcohol consumption and smoking are not contraindications of breastfeeding. However, smoking and alcohol consumption should be discouraged Ref: Nelson textbook of pediatrics 21st edition Pgno: 322